All of the following are indications of Mifepristone, EXCEPT:
1. Abortion
2. Cushing syndrome
3. PPH
4. Cervical ripening

Correct answer: 3. PPH

Explanation: Mifepristone is a progesterone antagonist that causes decidual necrosis in a pregnant uterus, softens the cervix and increases prostaglandin sensitivity. When combined with a prostaglandin analogue it is effective for medical termination. It is highly successful when given within 50days of gestation. Other indications of Mifepristone are: Cervical ripening Emergency contraception Cushing's syndrome